True about childhood tumor are all except -
1. Wilm's tumor
2. Neuroblastoma
3. Embryonal rhabdomyoma
4. Pleomorphic rhabdomyosarcoma

Correct answer: 4. Pleomorphic rhabdomyosarcoma

Explanation: Skeletal muscle tumors Rhabdomyosarcoma is the most common soft tissue sarcoma of childhood usually appearing before 20.It occurs most commonly in head and neck or genitourinary track. Robbins basic pathology 9th edition page no 794,heading